Efficiency of the goiter control program can be assessed by -
1. Neonatal thyroxine levels
2. Goitre in pregnancy
3. Goitre in the age group of 12 to 18 yr
4. Soil iodine levels

Correct answer: 1. Neonatal thyroxine levels

Explanation: Iodine monitoring Countries implementing control programmes require a network of laboratories for iodine monitoring and surveillance. These laboratories are essential for a) iodine excretion determination b) determination of iodine in water, soil and food as part of epidemiological studies c) determination of iodine in salt for quality control. Neonatal hypothyroidism is a sensitive pointer to environmental iodine deficiency and can thus be an effective indicator for monitoring the impact of a programme Ref: Park 25th edition Pgno : 693